IUCD having the longest life span is
1. Progestasert
2. Cu T 380A
3. Mirena
4. Nova T

Correct answer: 2. Cu T 380A

Explanation: The time periods for replacement for various IUDs are: - Copper T 200:3years- Multiload Cu 250:3 years - Multiload Cu 375: 5 years- LNG-IUS/Mirena : 5 years- Cu T 380A : 10 years ( also known as Paraguard)- Nova : 3years - Progestasert : 1 years